Chronic asbestos exposure causes
1. Mesothelioma
2. Carcinoma of pharynx
3. Leukoplakia
4. Erythroplakia

Correct answer: 1. Mesothelioma